Which of the following is a secondary site of spread of odontogenic infection involving pterygomandibular space?
1. Infra temporal space
2. Canine space
3. Buccal space
4. Sublingual space

Correct answer: 1. Infra temporal space